Infective endocarditis can manifest as all except -
1. Bulky friable vegetations
2. Myocardial abscess
3. Left atrial thrombus
4. Septal perforation

Correct answer: 3. Left atrial thrombus

Explanation: Infected thrombi* or vegetations* are the characteristic pathological features of infective endocarditis.
Vegetations are found along the valve cusps.
They art friable*, bulky* and potentially destructive*.
Sometimes they erode into the underlying myocardium to produce an abscess cavity (ring abscess)*.
Major cardiac complications in infective endocarditis ;
Valvular damage causing insufficiency or stenosis*
Myocardial ring abscess*.
Perforation of aorta, interventricular septum or free wall or invasion of the conduction system*.
Suppurative pericarditis*.
Endocarditis can also complicate artificial valve, causing their partial dehiscence with para valvular leak*